How much fraction of methyl mercury is absorbed from the Gut:
1. 20%
2. 50%
3. 80%
4. 100%

Correct answer: 4. 100%